Salt losing nephropathy:
1. Interstitial nephritis
2. Amyloidosis
3. Lupus nephritis
4. Post-streptococcal GN

Correct answer: 1. Interstitial nephritis

Explanation: Ans. A i.e. Interstitial nephritis Salt-wasting nephropathy It is a rare syndrome in which renal insufficiency is associated with extracellular volume depletion from marked natriuresis in the absence of adrenal insufficiency or diuretics. A salt-losing nephropathy has been described in Interstitial nephritis, - Chronic pyelonephritis, Polycystic disease, and, particularly, in Medullary cystic disease.